Kerley B lines seen in
1. Pulmonary embolism
2. Pulmonary edema
3. Carcinoma bronchus
4. Lung abscess

Correct answer: 2. Pulmonary edema

Explanation: In pulmonary edema,the vascularity of the lung fields becomes more prominent,and the right and left pulmonary arteries dilate.Subsequently,interstitial edema causes thickened interlobular septa and dilated lymphatics.These are evident as horizontal lines in the costophrenic angles(septal or Kerley B lines). <reference:Davidson' s medicine-22nd edition page no:550.